Which of the following is seen in Boutonniere's deformity:
1. Extension of PIP and DIP
2. Flexion of PIP and DIP
3. Flexion contracture of PIP and extension of DIP
4. Flexion of DIP and extension of PIP

Correct answer: 3. Flexion contracture of PIP and extension of DIP

Explanation: Ans. (c) Flexion contracture of PIP and extension of DIPRef: Maheshwari 5th ed. / 288* Boutonniere deformity is a deformed position of the fingers or toes, in which the joint nearest the knuckle (PIP) is permanently bent toward the palm while the farthest joint (DIP) is bent back away (PIP flexion with DIP hyperextension).* It is commonly caused by injury or by an inflammatory condition like rheumatoid arthritis.Also Know# Z-deformity i.e. radial deviation of the wrist with ulnar deviation of the digits, often with palmar subluxation of proximal phalanges.# 'Swan - neck deformity' i.e. hyperextension of PIP joints with compensatory flexion of the distal interphalangeal joints.# Wind - sweep deformities of toes i.e. valgus deformities of toes in one foot and varus in other, (as wind sweeps all the structure in one direction).